Granulomatous uveitis is seen in
1. Fuchs' heterochromic iridocyclitis
2. Vogt-Koyanagi-Harada' s disease
3. Behcet' s disease
4. Psoriatic arthritis

Correct answer: 2. Vogt-Koyanagi-Harada' s disease

Explanation: UVEITIS (INFLAMMATION OF UVEA) Pathological Classification: 1)Non-granulomatous: Common systemic disorders associated with acute non-granulomatous anterior uveitis are: sacroiliitis, ankylosing spondylitis, Reiter's syndrome, psoriasis, ulcerative colitis and Crohn's disease. 2)Granulomatous: Important causes of granulomatous uveitis are: Tuberculosis, Leprosy, Syphilis, Herpetic uveitis, Brucellosis, Histoplasmosis, cryptococcosis, Sarcoidosis, Vogt-Koyanagi-Harada's disease, Sympathetic ophthalmitis, Lens induced uveitis, and Foreign body uveitis. Ref:- A K Khurana; pg num:-138,140,141